Which of the following expectorant causes gastric irritation & reflex increase in bronchial gland secretions
1. Ambroxol
2. Guaifenesin
3. Sodium cromoglycate
4. Fosaprepitant

Correct answer: 2. Guaifenesin

Explanation: Guaifenesin, hypertonic saline & ammonium cloride are the expectorants that cause gastric irritation and also reflexly increase bronchial gland secretions.